Where do gonococci initially infect
1. Vagina
2. Cervix
3. Uterus
4. Fallopian tubes

Correct answer: 2. Cervix

Explanation: In women, the initial gonococcal infection involves the urethra and cervix uteri. The vaginal mucosa is not affected in adults because the stratified squamous epithelium is resistant to infection by cocci and also due to the acidic pH of vaginal secretion. The infection spreads to Bartholin's, endometrium and fallopian tubes. Rarely peritonitis may develop with perihepatic inflammation (Fitz-Hugh-Curtis syndrome) Reference: Textbook of Microbiology; Anathanarayan and panicker's; 10th edition; Page no: 235